In high spinal anaesthesia what is seen –
1. Hypotension & Bradycardia
2. Hypotension & Tachycardia
3. Hypertension & Bradycardia
4. Hypertension & Tachycardia

Correct answer: 1. Hypotension & Bradycardia

Explanation: Spinal anesthesia ascending into the cervical levels (high spinal anesthesia) causes severe hypotension, bradycardia and respiratory insufficiency.